True about Histoplasma capsulatum -
1. Dimorphic fungus
2. Causative organism of moniliasis
3. Causative organism of valley fever
4. Capsulated

Correct answer: 1. Dimorphic fungus